Wallenberg syndrome involves which artery:
1. AICA
2. PICA
3. Subclavian artery
4. PCA

Correct answer: 2. PICA

Explanation: Ref. API Textbook of Medicine. Pg. 510
There are two important Lateral Syndromes. PICA syndrome( Wallenberg ) and AICA syndrome. PICA syndrome is Lateral Medullary Syndrome and AICA Syndrome is Lateral Pontine Syndrome.